The prognosis of rhabdomyosarcoma is likely to be poor if the site of the tumor is ?
1. Orbit
2. Paratesticular
3. Extremity
4. Urinary bladder

Correct answer: 3. Extremity

Explanation: Ans. is 'c' i.e. Extremity Rhabdomyosarcomas of the extremities have alveolar histology which is associated with aggressive tumor biology. Also know RMS is the most common malignant tumor of the soft tissues in infants and children. MC site is head & neck region Among head & neck, orbit is the most common site.